True about Insulinoma is:
1. Alpha cell tumor
2. Most of them are malignant
3. C-peptide level is elevated
4. It is not associated with MEN 1 syndrome

Correct answer: 3. C-peptide level is elevated

Explanation: Insulinoma b-cell tumor Benign C peptide level is elevated Most common of pancreatic Neuro-endocrine neoplasms Produce sufficient insulin to induce clinically significant hypoglycaemia MEN 1 syndrome- Associated with 3-Ps Pancreas:- Gastrinoma, Insulinoma Pituitary tumor Parathyroid